In case control study, the risk is calculated by-
1. Relative risk
2. Attributable risk
3. Cross product ratio
4. None

Correct answer: 3. Cross product ratio

Explanation: Also known as odds ratio Measure of strength of relations between risk factor and outcome. The disease being investigated is very rare The cases must be representative of those with disease The controls must be representative of those without disease Ref: 25th edition, Park's Textbook of Preventive and Social Medicine, Page no. 81